Which of the following arises from infraglenoid tubercle -
1. Longheadofbiceps
2. Longheadoftriceps
3. Shoheadofbiceps
4. Coracobrachialis

Correct answer: 2. Longheadoftriceps

Explanation: Ans. is'b' i.e., Long head of tricepsSupraglenoid tubercle of scapula : origin oflong head ofbiceps.Infraglenoid tubercle of scapula : origin of long head of triceps